C-shaped curve on tympanometry is seen in ?
1. Serous otitis media
2. Otosclerosis
3. TM perfiration
4. Eustachian tube obstruction

Correct answer: 4. Eustachian tube obstruction

Explanation: Ans. is 'd' i.e., Eustachian tube obstruction